C wave in JVP indicates:
1. Atrial contraction
2. Bulging of tricuspid valve
3. Ventricle systole
4. Rapid ventricular filling

Correct answer: 2. Bulging of tricuspid valve

Explanation: Answer is B (Bulging of Tricuspid valve) The 'c' wave in JVP is a positive wave produced by the bulging of the tricuspid valve into the right atrium during right ventricular isovolumetric systole and by the impact of the carotid artery adjacent to the jugular vein.